Connector's height for ceramic fixed partial dentures is
1. 2 mm
2. 4 mm
3. 6 mm
4. 8 mm

Correct answer: 2. 4 mm